Limiting amino acid in maize:
1. Niacin
2. Tyrosine
3. Tryptophan
4. Methionine

Correct answer: 3. Tryptophan

Explanation: Maize protein Zein lacks tryptophan. As tryptophan is required for the synthesis of Niacin (60 mg of tryptophan is required to make 1 mg of niacin) Hence, In high corn diet, requirement of dietary niacin increases.